Child of 6 weeks with Hemoglobin of 10 gm% pale on examination, diagnosis is -
1. Physiological anemia
2. Pathological anemia
3. Thalassemia
4. Iron dificiency anemia

Correct answer: 1. Physiological anemia

Explanation: Ans. is 'a' i.e., Physiological anemia o Physiologic Anemia of InfancyHemoglobin drops to low point at age 6 to 8 weeksErythropoietin nadir drops HemoglobinTerm Infants: Hemoglobin drops to 9-11 g/dlPreterm Infants: Hemoglobin drops to 7-9 g/dlo No work-up or treatment unless Hemoglobin lower than expected Other point -# Hemoglobin g/dl cut off-. (WHO/UNU-1996)# 6mo-5yr <11.0;5-11 yr. - 11.5;# 12-13 yr -12.0g/dl; Men - 13.0# Women Non-pregnant - 12.0;Pregnant -11.0